which of the following prostaglandin analog is used in glaucoma?
1. Misoprostol
2. Latanoprost
3. Enprostil
4. Rioprostil

Correct answer: 2. Latanoprost

Explanation: Uses of Prostaglandin Analogs- 1.Abortion- Dinoprostone - PGE2. SSInduction of mid-term abortion SSCervical ripening & induction of labor at full term. SSNot used for menstrual regulation/early abortion. Carboprost - PGF2a SSUsed for mid-term abortion. Misoprostol -PGE1 SSused for abortion-200mg.BD/orally. SSalong with mifepristone to induce abortion in 1st few wks of pregnancy. 2.Facilitation of labor, cervical priming & PPH- 1.Dinoprostone - PGE2. SSOrally - to augmenting labor & to check PPH. SSVaginally- softens the cervix before labor induction. SSPreferred over oxytocin for labor induction in pre-eclampsia, eclampsia, cardiac & renal disease. SSIntrauterine fetal deaths / along with oxytocin. 2. Carboprost - PGF2a - RX PPH-intra-amniotic inj. 3.Ulcer healing- -Misoprostol -PGE1 SSUlcer protective agent-200mg orally QID -Enprostil - PGE2. SSUsed in NSAID's induced P.U & Chronic smokers. 4) To prevent platelet aggregation- OEpoprostenol- SSPGI2- Haemodialysis & Cardiopulmonary bypass. SSPGE2 & PGI2- used to store platelets for transfusion. 5. To treat pulmonary HTN- OEpoprostenol (PGI2)-I.V - pulmonary & coronary resistance. OTreprostinil -longer acting. 6.Patency of Ductus arteriosus- OEpoprostenol (PGI2) or Alprostadil (PGE1)- I.V infusion. 7.P.V.D- OBeraprost (PGI2)-orally ,T.I.D. 8.Glaucoma- OLatanoprost (PGF2a) - Reduces I.O.P. 9.Male impotence- Alprostadil to RX E.D. -2.5-25mcg intracavernosal inj. ESSENTIALS OF MEDICAL PHARMACOLOGY;7TH EDITION;KD TRIPATHI;PAGE NO 190